A 30-year-old male, Kallu, with a history of sexual exposure comes with a painless indurated ulcer over the penis with everted margins. The diagnosis is
1. Syphilis
2. Chancroid
3. Lymphogranuloma venerum
4. Granuloma inguinale

Correct answer: 1. Syphilis